All of the following may be observed in a normal pregnancy EXCEPT:
1. Fall in serum iron concentration
2. Increase in serum iron binding capacity
3. Increase in blood viscosity
4. Increase in blood oxygen carrying capacity

Correct answer: 3. Increase in blood viscosity

Explanation: Blood thins out in pregnancy due to the hemodilution of pregnancy. The increase in Blood volume (30-45%) is relatively greater than that of red cell mass (20-30%) resulting in hemodilution and a decrease in haemoglobin concentration. Fibrinogen as well as factors VII , IX, X and XII increase markedly. These changes tend to prevent excessive bleeding at delivery. Pregnancy is a hyper-coagulable state thus, but this is not synonymous with "Increased viscosity" .